Dormia basketing is used for removal of renal calculi in the -
1. Pelvic ureteric juction
2. Upper 1/3 of ureter
3. Middle 1/3 of ureter
4. Lower 1/3 of ureter

Correct answer: 4. Lower 1/3 of ureter